Which of the following is seen in mania:
1. Low activity
2. Over activity
3. Normal activity
4. None of the above

Correct answer: 2. Over activity

Explanation: Ans. B: Over activityManic episode:There is an increased psychomotor activity, ranging from overactiveness and restlessness, to manic excitement where the person is 'on-the-toe-on-the-go', (i.e. involved in ceaseless activity)Bipolar disorder (BPD):Mania alone may be categorized as BPD, but depression alone is notChromosome 18 is involvedManiaInflated self esteemGrandiosityFlight of ideasDistractibility